Posterior to sternum is ?
1. Left atrium
2. Left ventricle
3. Right atrium
4. Right ventricle

Correct answer: 4. Right ventricle

Explanation: Ans. is 'd' i.e., Right ventricleNormally, most of the anterior portion of right ventricle is in contact with sternum.It is for this reason that sternal and parasternal injury commonly results in right vantricular injury.